Myringotomy is done in which quadrant -
1. Antero-inferior
2. Posteroinferior
3. Both
4. None

Correct answer: 3. Both

Explanation: Ans. is 'c' i.e., Both o Myringotomy for grommet insertion (in SOM) - Antero - inferioro Myringotomy in ASOM - Postero - inferiorMyringotomyo Myringotomy is also known as myringocentesis, tympanostomy or tympanotomy. Myringotomy is a surgical procedure in which a small incision is made in the eardrum (tympanic membrane). Myringotomy is done to drain suppurative or nonsuppurative fluid (effusion) of middile ear or to provide aeration in case of nonfunctional eustachian tube.IndicationsAcute suppurative otitis mediaSevere earache with bulging tympanic membraneIncomplete resolution with opaque drum and persistent conductive deafnessComplications of acute otitis media, e.g. facial paralysis, labyrinthitis or meningitis with bulging tympanic membraneSerous otitis mediaAero-otitis media (to drain fluid and ""'unlock" the eustachian tube)Atelectatic ear (grommet is often inserted for long-term aeration)Incision sites for myringotomyo Two common incision sites are usedAnterior-inferior quadrantAlso known as anterior myringotomyUsed in cases of serous otitis media when grommet is to be insertedPostero-inferior q uad rantAlso known as posterior myringotomyUsed in cases of ASOMThis area is preferred because this is the most accessible area, relative less vascular and there are less chances of damage to ossicular chain.